Which of the following statements about Pancreatic Carcinoma is not true :
1. Mutation in P53 gene is associated in 75% of cases
2. Hereditary Pancreatitis significantly increases the risk
3. Median survival in locally advanced (stage III) disease is 3- 6 months
4. Five year survival after curative pancreaticoduodenectomy is 15 - 20%

Correct answer: 3. Median survival in locally advanced (stage III) disease is 3- 6 months

Explanation: Answer is C (Median Survival in locally advanced (stage III) disease is 3- 6 months) Median survival of locally advanced (Stage III) disease is 6-10 months and not 3-6 months. Median survival of 3-6 months is a feature of Metastatic Stage IV disease. Median survival in locally advanced disease (stage III) is 6 - 10 months Metastatic disease (stage IV) is associated with a median survival of 3 - 6 months. Stage III locally advanced disease is associated with a median survival of 6 - 10 months Clinical / Radiological Criteria Median Survival Resectable Disease (Stage I and Stage II) 15 - 20 months Locally Advanced Disease (Stage III) 6 - 10 months Metastatic Disease (Stage IV) 3 - 6 months p53 mutation is seen in 75% of cases of Pancreatic cancer Gene Pancreatic Cancer% Colorectal Cancer (%) * P16 95 0 * K - ras 90 50 * P53 75 60 * DPC4 55 15 * BRCA 2 7 ? Taken from Gastrointestinal and Liver disease' by Feldman 81 /1312 Hereditary Pancreatitis significantly increases the risk of Pancreatic Cancer 'One of the most important genetic factors in pancreatic carcinoma is hereditary pancreatitis. Affected patients have an abnormal trypsin gene that is transmitted as an autosomal dominant trait. Their risk of development of pancreatic cancer by age 70 years is estimated at 40%' - 'Gastrointestinal and Liver Diseases' by Feldman 8th / 1309 Five Year Survival after curative Pancreaticoduodenectomy approaches 15 -20%. Overall 5-year survival rate with pancreatic cancer is 5% 5 - year survival rate for patients undergoing curative tumor resection (pancreaticoduodenectomy) is 15% - 20% Note Only 10% of pancreatic cancers are diagnosed at on early stage when radical resection with curative intent can be performed. - 'Pathophysiology of Disease (Lange) 5th /454'